The most important indication for surgical repair of a bicornuate uterus is
1. Infertility
2. Dysmenorrhoea
3. Menorrhagia
4. Habitual abortion

Correct answer: 4. Habitual abortion

Explanation: Bicornuate uterus Defective mullerian fusion such as double uterus,septate,or ,bicornuate results in recurrent abortion (12%). Abortions tend to occur beyond 12 weeks and the successive pregnancies are carried longer. Hysteroscopic resection of the uterine septa,synechae,improves the pregnancy outcome. Uterine unification operation (metroplasty)is done for bicornuate uterus D.C.DUTTA'S TEXTBOOK OF OBSTETRICS,Pg no:169,7th edition